PIN number of nitrous oxide is:
1. 2, 5
2. 3, 5
3. 2, 6
4. 3, 6

Correct answer: 2. 3, 5

Explanation: Ans: b (Nitrous oxide)Pin index for gasesOxygen-2,5Nitrous oxide-3,5Cyclopropane-3,6Air-1,5Nitrogen-1,4